Contrast used for MRI –
1. Iodine
2. Gadolinium
3. Metvazamide
4. Pmnipaque

Correct answer: 2. Gadolinium

Explanation: Gadolinium is the most commonly used MR contrast agent.